Which of the following is not a benign neoplasm?
1. Chondroma
2. Leiomyoma
3. Papilloma
4. Seminoma

Correct answer: 4. Seminoma

Explanation: Seminoma is a malignant testicular neoplasm. All the other options are benign tumours.